Henoch Schonlein purpura presents with deposition of ?
1. IgG
2. IgA
3. IgM
4. IgE

Correct answer: 2. IgA

Explanation: ANSWER: (B) IgAREF: Harrisons 17th ed chapter 319, CURRENT Medical Diagnosis & Treatment Chapter 20. Musculoskeletal & Immunologic DisordersHenoch-Schonlein purpura, the most common systemic vasculitis in children, occurs in adults as well. Typical features are palpable purpura, abdominal pain, arthritis, and hematuria. Pathologic features include leukocytodastic vasculitis with IgA deposition. The cause is not known.